Arrange the following structures in the order they are pierced during lumbar puncture.(SEQUENTIAL ARRANGEMENT) a)Epidural space b)Interspinous ligament c)Supraspinous liament d)Ligamentum flavum e)Subarachnoid space
1. a-b-c-d-e
2. b-c-d-a-e
3. d-c-b-a-e
4. c-b-d-a-e

Correct answer: 4. c-b-d-a-e

Explanation: Lumbar puncture in adult: Pt lying on side with maximally flexed spine A line taken between highest points of axis at L4 level Skin cleaned & anesthetised Spinal needle inserted between L4 - L5 vertebrae Structures pierced: skin, fat, supraspinous & interspinous ligaments, ligamentum flavum, epidural space, dura, arachnoid, subarachnoid space. CSF